The most common facial abnormality seen in Gardener's syndrome is
1. Ectodermal dyplasia
2. Odontomes
3. Multile osteomas
4. Dental cysts

Correct answer: 3. Multile osteomas

Explanation: .desmoid tumor is often associated with the familial polyposis colon (FAP), osteomas, odontomes epidermal cysts-- Gardner's syndrome. Gardner's syndrome 1. Familial polyposis colon 2. Osteomas 3. Odontomes 4. Epidermal cyst - 20% ref:SRB 's manual of surgery,ed 3,pg no-672